How many lactiferous ducts open in nipple ?
1. 0 -10
2. 15 -20
3. 25 -50
4. 50 -75

Correct answer: 2. 15 -20

Explanation: The nipple is pierced by 15-20 lectiferous ducts.